MRI magnet is a
1. Ferromagnet
2. Paramagnet
3. Simple magnet
4. Superconducting-magnet

Correct answer: 4. Superconducting-magnet

Explanation: MRI uses a Superconducting magnet which is kept cool using Helium. A superconducting MRI magnet comprises a steel cryostat with the superconducting coils immersed in liquid helium at 4.2 Kelvin (-269degC or -452degF).